The following statements regarding Vitamin D3 are true except:
1. Chronic injection of large doses can result in hypervitaminosis.
2. It is useful in postmenopausal osteoporosis.
3. Its active metabolite is calcitriol.
4. It is ineffective in the treatment of vitamin D resistant rickets.

Correct answer: 4. It is ineffective in the treatment of vitamin D resistant rickets.

Explanation: The active metabolite of vitamin D is calcitriol. Hypervitaminosis can result due to ingestion of large doses for a prolonged time. Vitamin D therapy can suppress parathyroid function and reduce bone turnover in osteoporosis. It may also improve intestinal absorption of calcium. Vitamin D along with inorganic phosphates provides clinical improvement in patients with vitamin D-resistant rickets, which is characterized by deranged calcium and phosphate metabolism despite normal calcitriol levels.